Vitamin that participates as a coenzyme incarboxylation reactions of gluconeogenesis, fatty acid synthesis
1. Biotin
2. Vitamin B7
3. Anti egg white injury factor
4. All of the above

Correct answer: 4. All of the above